Dried semen stains on clothes are identified by:
1. Spectrometry
2. Ultravoilet rays
3. Infrared rays
4. Magnifying lens

Correct answer: 2. Ultravoilet rays

Explanation: Ultravoilet rays